The following is not a feature of malignant transformation by culturedc
1. Increased cell density
2. Increased requirement for growth factors
3. Alterations of cytoskeleton structure
4. Loss of anchorage

Correct answer: 2. Increased requirement for growth factors

Explanation: Ref biology of the cell p357-364 Both normal cells and cancer cells can be cultured in-vitro , however they behave quite differently normal cell: show replicative senescence .is cells pass through limited number of cell division before they decline in vigor and die it may caused by inability to synthesise telomerase